Consolidation of which portion of the lung is likely to obliterate the Aortic knuckle on X-ray chest:
1. Left Lingula
2. Right Upper lobe
3. Apex of lower lobe
4. Left upper lobe (posterior part)

Correct answer: 4. Left upper lobe (posterior part)

Explanation: D i.e. Left upper lobe (posterior part) - Consolidation of apical portion of left upper lobe (LUL) will obliterate or obscure the aortic knuckle (knob) portion of cardiac shadow on chest x-ray (Mnemonic-LUL sounds like Knuckle") * - Consolidation of lingula (anterior) obscures left heart border (i.e. left cardiac silhouette) and consolidation of righ middle lobe (RML) obliterates right heart border (right cardiac sihoutte). Mn= "Lingula is left and RML is right". Radiographic Mediastinal Signs Silhouette's (Obscured Margin) Sign - The normal radio-opaque margins of soft tissue mediastinal structures (such as heart, aortic arch, hilum, azygoesophageal recesses) and diaphragm are visible on chest x-ray because they are outlined by adjacent air containing radiolucent lung (i.e. b/o normal soft tissue air inteface/contrast). -Silhouette (obscured margin) sign is based on the principle, which says that if two structures have approximately the same radiographic density, and are in intimate contact with each other, then the interface between them is obliterated". However, if there is even a small gap between them, then they are seen with their borders as separate entities. An intrathoracic lesion touching a border of heart, aorta or diaphragm and having similar radiographic density (opacity) will obliterate that border on X-ray. And a lesion not anatomically contigious with a border of these structures or having markedly dissimilar density will not obliterate that border. - Silhouette's invisible or obscured border sign is caused by any intrathoracic opacity eg consolidation, pneumonia, mass, fluid, atelectasia of same density as the adjacent normal structure. This sign is used to diagnose variety of lung/chest conditions and to localize it to a specific lobe /region of lung. Silhoutte sign is very useful in localizing lung lesions as all structures forming cardiac silhoutte (heart border, ascending descending aorta, aortic knob & hemidiaphragm) are in contact with a specific portion of lung. Silhoutte structure (which may be obscured by pathology) Lung lobe/portion in contact Upper right heart border (Superior RUL (Right upper lobe, anterior vena cava), Ascending aorta & Upper pole of hilum = Superior right mediastinum or Right Aortic border segment) & anterior segment of RML Right heart border/Right cardiac RML (Right middle lobe, medial) sithoutte >>> Right medial lower lobe Aortic knudcle/knob/arch LUL (Left upper lobe apico-posterior segment) Upper left heart border (left superior LUL (Left upper lobe anterior mediastinum) segment) Left heart border (Left cardiac silhoutte) Lingula (anterior) segment of LUL Anterior hemidiaphragm Lower lobe (anterior- basal segments) Position of oblique fissure is best index of lower lobe volume. Left hemidiaphragm, Descending aorta Left lower lobe (LL) Right hemidiaphragm Right lower lobe (RLL) - Obscuration of right heart border (right cardiac silhouette) on PA viewQ and movement of horizontal fissure and lower half of oblique fissure toward one another on lateral projection is diagnostic of right middle lobe collapse. With the exception of absence of horizontal fissure on left, radiological features of lingual collapse are similar to right middle lobe collapse. - In right upper lobe collapse, lateral end of horizontal fissure moves upward & medially (towards superior mediastinum) & its anterior end moves upward towards apex. And the upper half of oblique fissure moves anteriorly. Both fissures become concave superiorly. Cervico-Thoracic Sign It is based on the fact that upper most border anterior mediastinum ends at the level of clavicle while middle (higher) & posterior (highest) mediastinum projects above clavicle. Therefore, a well defined mass (which is sharply outlined by apical lung) above the clavicles is always posterior, whereas an anterior mass being in contact with soft tissues (of same density) rather than aerated lung, is ill defined (have unsharp borders) Hilar-Overlay Sign - It allows differentiation of true cardiomegaly from large anterior mediastinal masses. In cardiomegaly the hilum is displaced laterally whereas in the presence of anterior mediastinal mass the hilum is seen projecting medial to the lateral border of mass. With the mediastinal mass, the hilium is seen through the mass whereas with cardiomegaly the hilum is displaced so that only its lateral border is visible. Hilar Bifurcation (Convergence) Sign - It differentiates hilar masses from vascular structures in cases of hilar enlargment. - If the vessels (eg pulmonary arteries) are seen to arise directly from the hilar shadow (i.e. vessels converge into lateral border of cardiac silhoutte) then the enlargement is vascular, but if they appear to arise medial to the lateral aspect of the hilar shadow, the enlargment is caused by an extravascular mass.